Following organ is LEAST radiosensitive to the effects of exposure to radiation:
1. Testis
2. Bone marrow
3. Muscle
4. Intestine

Correct answer: 3. Muscle